Cancer not associated with Human Papilloma virus
1. Cervical cancer
2. Testicular cancer
3. Vulval cancer
4. Oropharyngeal

Correct answer: 2. Testicular cancer

Explanation: Cancer associated with HPV are cervical cancer, Anal cancer, Vulval cancer, Vaginal cancer, Penile cancer, Oropharyngeal SCC.